Lateral cutaneous nerve of thigh arises from
1. Femoral Nerve
2. Lumbar Plexus
3. Obturator Nerve
4. Sciatic nerve

Correct answer: 2. Lumbar Plexus

Explanation: LUMBAR PLEXUSFormed by ventral rami of LI, L2, L3, and part of L4. These rami divide into dorsal and ventral divisions.From the ventral divisions: ilioinguinal (LI), genitofemoral (LI, L2) obturator (L2, L3, L4), accessory obturator (L3, L4) nerves.From the dorsal divisions: Lateral cutaneous nerve of thigh (L2, L3), femoral nerve (L2, L3, L4).Iliohypogastric contains fibers of both ventral and dorsal divisions (LI).Reference: Chaurasia Volume II; 7th edition; Page no: 41